Insulin dependent glucose uptake occurs in:
1. Muscle
2. Epithelial cells of small intestine
3. Brain
4. Kidney

Correct answer: 1. Muscle

Explanation: Insulin causes insertion of GLUT-4 transporters into the membranes of muscle cells and adipocytes. Glucose entry into these cells occurs GLUT-4 transporters; it is an insulin-dependent transport. Epithelial cells of the small intestine have SGLT-1 (sodium-glucose transporter) which causes co-transport of glucose with sodium, from intestinal lumen into the epithelial cell. Then, GLUT-2 causes facilitated transport of glucose from the cell into blood. GLUT-2 mediated glucose transport is not insulin-dependent. GLUT-2 is also present in pancreatic b-cell, liver. GLUT-2 is an important glucose transporter during fasting-to-fed state. Glucose transport in renal tubular cells occurs SGLT-2 and SGLT-3; a co-transport along with sodium. Neuronal tissue has GLUT-3 for the glucose transport. Brain is an obligate glucose user. Its functioning is critically dependent on circulating blood glucose level. Glucose entry into nerve cells is not insulin-dependent.